Which of the following is thought disorder?
1. Circumstantiality
2. Tangentiality
3. Prolixity
4. All of the above

Correct answer: 4. All of the above

Explanation: Prolixity is a milder form of "flight of ideas". As mentioned in the text, flight of ideas can be considered as both a disorder of stream of thought and form of thought.